Pulled elbow means
1. Fracture of head of radius
2. Subluxation of head of radius
3. Fracture dislocation of elbow
4. Fracture ulna

Correct answer: 2. Subluxation of head of radius

Explanation: Pulled elbow occurs in children between 2-5 years of age. The head of radius is pulled partly out of annular ligament when child is lifted by the wrist. The child starts crying and is unable to move an affected limb. There might be swelling at the elbow.its not possible to see the subluxated head in x-ray as it is still cartilaginous. Treatment includes head reduced by fully supinating the forearm and applying direct pressure overhead of radius. a sudden click is heard or felt as the head goes back. Ref: Essential Orthopaedics, Maheswari & Mhaskar, Edition 9, Page no: 105